Most common cause of ambiguous genitalia in a female child is:
1. Placenta steroid sulfatase deficiency
2. Fetal aromatase deficiency
3. Wnt4 mutation
4. Congenital adrenal hyperplasia

Correct answer: 4. Congenital adrenal hyperplasia

Explanation: Ans. is d, i.e. Congenital adrenal hyperplasiaRef Leon Speroff 8 th/ed, p349; Dutta Gyne 6th/ed, p440"CAH due to 21 hydroxylase deficiency is the most frequent cause of sexual ambiguity and the M/C endocrine cause of neonatal death." - Ref: Leon Speroff 8th/ed, p349Ambiguity of sex at birth -- "Cases of ambiguity of sex detected at birth are due to adrenogenital syndrome unless proved otherwise". - Ref: Dutta Gynae 6th/ed, p404